The syndrome of growth failure, rash, and hypogonadism is due to deficiency of
1. Calcium
2. Copper
3. Zinc
4. Magnesium

Correct answer: 3. Zinc

Explanation: Zinc deficiency- A condition caused by inadequate dietary ingestion of zinc, and characterized by dermatitis, diarrhea, delayed hypersensitivity response, fatigue, hair loss, loss of taste, difficult pregnancy, retarded growth, hypogonadism, poor wound healing, and in children, stunted growth and sexual development.Ref: Ganong's review of medical physiology; 24th edition; page no:-492